Dose of chloroquine for prophylaxis against vivax malaria:
1. 150 mg (base) weekly
2. 300 mg (base) weekly
3. 600 mg (base) weekly
4. 900 mg (base) weekly

Correct answer: 2. 300 mg (base) weekly

Explanation: Ans. B i.e. 300 mg (base) weekly Antimalarial prophylaxis In areas where chloroquine remains effective: Chloroquine 300 to 310 mg once weekly, and Proguanil 200 mg once daily (started one week before travel, and continued for four weeks after returning)